Which of the following decreases in length during the contraction of a skeletal muscle fiber?
1. A band of the sarcomere
2. I band of the sarcomere
3. Thick filaments
4. Thin filaments

Correct answer: 2. I band of the sarcomere

Explanation: The physical lengths of the actin and myosin filaments do not change during contraction. Therefore, the A band, which is composed of myosin filaments, does not change either. The distance between Z disks decreases, but the Z disks themselves do not change. Only the I band decreases in length as the muscle contracts.